The important coreceptors for HIV to bind with CD4 receptors are:
1. CCR4 and CXCR3
2. CCR5 and CXCR4
3. CCR4 and CXCR5
4. CCR4 and CXCR2

Correct answer: 2. CCR5 and CXCR4

Explanation: The primary cellular receptor for HIV is CD4 (Helper subset of T cells). HIV has two major coreceptors: CCR5 and CXCR4 (for fusion and entry)ALSO KNOW:Kaposi's sarcoma cannot be explained completely by the immunodeficiency caused by HIV infection. Ref: Harrison, Edition-18, Page-1519.